Ebstein anamoly is caused by usage of wof
1. Phenytoin
2. Lithium
3. Warfarin
4. Enalapril

Correct answer: 2. Lithium

Explanation: Lithium In take by mother during pregnancy leads to Ebstein anomaly in fetus. Teratogenicity It refers to the capacity of a drug to cause foetal abnormalities when administered to the pregnant mother. The placenta does not constitute a strict barrier, and any drug can cross it to a greater or lesser extent. The embryo is one of the most dynamic biological systems and in contrast to adults, drug effects are often irreversible. The thalidomide disaster (1958-61) resulting in thousands of babies born with phocomelia (seal like limbs). Drugs can affect the foetus at 3 stages-- (i) Fertilization and implantation-- conception to 17 days--failure of pregnancy which often goes unnoticed. (ii) Organogenesis-- 18 to 55 days of gestation--most vulnerable period, deformities are produced. (iii) Growth and development-- 56 days onwards-- developmental and functional abnormalities can occur, e.g. ACE inhibitors can cause hypoplasia of organs, especially of lungs and kidneys; NSAIDs may induce premature closure of ductus arteriosus; androgens and progestins cause masculanization of female foetus, antithyroid drugs and lithium cause foetal goiter. Ref:- kd tripathi; pg num:-89